About oxidative phosphorylation true is:
1. Generation of ATP's
2. Generation of ADP's
3. Utilization of ATP's
4. Utilization of NADP

Correct answer: 1. Generation of ATP's

Explanation: A i.e. Generation of ATPs